Meconium ileus is a manifestation of -
1. Hirschprungs disease
2. Achalasia cardia
3. Fibrocystic disease of pancrease
4. Coeliac disease

Correct answer: 3. Fibrocystic disease of pancrease